The specialized mammalian tissue/organ in which fuel oxidation serves not to produce ATP but to generate heat is:
1. Adrenal gland
2. Skeletal muscle
3. Brown adipose tissue
4. Heart

Correct answer: 3. Brown adipose tissue

Explanation: Ans. C. Brown adipose tissueBrown adipose tissue contains thermogenin, which is a physiological uncoupler of oxidative phosphorylation. This process is called Nonshivering Thermogenesis.